Wernicke's encephalopathy occurs due to deficiency of
1. Vitamin B1
2. Vitamin B2
3. Vitamin B6
4. Vitamin B12

Correct answer: 1. Vitamin B1

Explanation: (A) Vitamin B1 # Dry Beriberi involves both the peripheral and the central nervous systems.> Peripheral nerve involvement is typically asymmetric motor & sensory neuropathy with pain, paresthesias& loss of reflexes.> The legs are affected more than the arms. Central nervous system involvement results in Wernicke-Korsakoff syndrome.> Wernicke's encephalopathy consists of nystagmus progressing to ophthalmoplegia, truncal ataxia & confusion> Koraskoff's syndrome includes amnesia, confabulation, and impaired learning.